Most common cause of infection caused by intravascular catheter -
1. Ecoli
2. Coagulase negative staphylococci
3. Staph aureus
4. Pseudomonas

Correct answer: 2. Coagulase negative staphylococci

Explanation: Ans. is 'b' i.e., Coagulase negative staphylococci "Staph, epidermidis is a coagulase negative staphylococcus, which has predilection for growth on implanted foreign bodies such as intravascular catheters, shunts, artificial heart valves and prosthetic appliances, leading to bacteremia",o UTI is the most common type of nosocomial infection,o Most common cause of UTI - E colio Most common cause of UTI in ICU - Candidao Overall staph aureus is a leading cause of nosocomial infection.o Staph aureus is the most common cause of surgical wound infection - Harrison 16th/e p. 815.o Most common cause of primary bacteremia - Coagulase negative staphylococcus.